Type - A Bioterrorism agent include:
1. Coxiella burnetti
2. Bacillus anthracis
3. Clostridium perfirengens
4. NIPAH virus

Correct answer: 2. Bacillus anthracis

Explanation: Bacillus antracis is the most commonly used Type A bio terrorism agent. Cl. Perfringens and brucellosis - Type B bio-terrorism agent Nipah virus - Type C bio-terrorism agent Type A Type B Type C Can be easily disseminated High mortality rates (MOST DANGEROUS) Public panic and disruption Can moderately disseminate Moderate morbidity + low morbidity (LESS DANGEROUS) Require enhanced diagnostic capacity Require enhanced surveillance Emerging pathogens Ease to production High morbidity and mortality Anthrax(M/C used) Small Pox(Most dangerous) Plague Botulism(Most lethal toxin) Tularaemia VHFs like Ebola and Marburg virus Brucellosis Glanders Melioidosis Psittacosis Q fever Epidemic Typhus Cl. Perfringens Food safety threats Water safety threats Ricin toxin Staphylococcal toxin Hanta virus Nipah virus